Which of the following is the "Least Common Chronic" complication of measles?
1. Diarrhoea
2. Pneumonia
3. Otitis media
4. SSPE

Correct answer: 4. SSPE

Explanation: Ans. is 'd' i.e., SSPE(Ref: PSM Park, 19th/e, p. 128)* Subacute sclerosing panencephalitis (SSPE) is a rare complication (1 in 300000) of measles, which develops many years after the initial infection.* SSPE belongs to group C slow virus infection, caused by a defective Measles virus.